Basal ganglia is involved in which types of memory
1. Conditioning
2. Procedural memory
3. Explicit memory
4. None

Correct answer: 2. Procedural memory

Explanation: Procedural memory is required to do normal activities and it is from basal ganglia that the impulses for this arise. Therefore basal ganglia are involved in planning and programming of movements there fore is the site for procedural memory. Ganongs review of medical physiology; 23rd edition; pg:251.